Least likely to be Pre-leukemic condition is
1. Paroxysmal nocturnal hemoglobinuria
2. Paroxysmal cold hemoglobinuria
3. Aplastic anemia
4. Myelodysplastc syndrome

Correct answer: 2. Paroxysmal cold hemoglobinuria

Explanation: Myelodysplastic syndrome refers to a range of blood disorders. They are cancersin which newly created blood cells in the bone marrow do not develop into healthy working blood cells. Myelodysplastic syndrome (MDS) has often been referred to as pre-leukemia or smoldering leukemia. Refer robbins 9/e